Tidal volume in ml
1. 300
2. 400
3. 900
4. None

Correct answer: 4. None

Explanation: Tidal volume is 500 ml Tidal volume (symbol VT or TV) is the lung volumerepresenting the normal volume of air displaced between normal inhalation and exhalation when extra effort is not applied. In a healthy, young human adult, tidal volume is approximately 500 mL per inspiration or 7 mL/kg of body mass. Ref: Guyton and Hall textbook of medical physiology 12th edition,page number:324,325